If anti amphotericin B is administered the patient should be premedicated with
1. Diphenhydramine
2. Ibuprofen
3. Predisone
4. Any of the above

Correct answer: 4. Any of the above

Explanation: Ref-KDT 6/e p783 to prevent the acute reaction due to amphotericin B, patient should be premedicated with H1 antihistaminics like diphenhydramine NSAIDs like ibuprofen Steroids like prednisone